Cytokine with predominant anti-inflammatory action is ?
1. Interleukin 6
2. GM-CSF
3. TGF-b
4. TNF-Alpha

Correct answer: 3. TGF-b

Explanation: Ans. is 'c' i.e., TGF-b Proinflammatorv cytokines i) Major:- IL-1, TNF- alpha, IL-6 ii) Other:- IL-2, IL-4, IL-5, IL-6, IL-8, IL-11, IL-12, IL-15, IL-21, IL-23, IFN- gamma, GM-CSF Anti-inflammatory cytokines i) IL-4, IL-10, IL-13, and transforming growth factor b (TGF-b)